Considering Brenner tumor all are true EXCEPT:
1. Associated with Pseudomeig syndrome
2. Histologically has epithelial nests and coffee bean nuclei
3. Vaginal bleeding reported with it
4. Usually in childbearing women

Correct answer: 4. Usually in childbearing women

Explanation: Brenner tumor Made of transitional cells Seen in women around menopause Nests: Walthard Inclusions Puffed Wheat Type Benign Rubbery in consistency Cells are like bladder A/w Post menopausal bleeding A/w Pseudomeig syndrome Can occasionally be malignant Could be associated with virilisation and endometrial hyperplasia